Cause of neonatal hyperbilirubinemia ?
1. Inefficient ervthropoiesis
2. RBC hemoglobin
3. Immature liver enzyme
4. All of above

Correct answer: 4. All of above

Explanation: Ans. is 'd' i.e., All of aboveAvery -textbook of neonatology (P.1536/ed 6th)o 75% of daily billirubin production in Neonats came from normal destruction of circulating RBC.o 25% comes from other factor like.Ineffective erythropoiesisDestruction of immature RBCo Immature UDPGT activity in foetal liver especially preterm baby.